A man presented with a 3 day H/o lacrimation redness and discharge from left eye. Later on he developed perforation. Discharge from his eye demonstrated gram negative cocci which were oxidase positive. Which of the following can be the probable organism?
1. Pseudomonas
2. Acinetobacter
3. Neissera gonorrhoea
4. Moraxella catarrhalis

Correct answer: 3. Neissera gonorrhoea

Explanation: Ans. (c) Neisseria Gram negative oxidase positive bacteria can be none other than neisseria, and here in this case it is N. gonococci. Occular gonorrhea in adults Results from autoinoculation from an infected genital site Manifestations range from mild to very severe Severe signs include markedly swollen eyelid, chemosis, profuse purulent discharge. Occasionaly there may be corneal ulceration and rarely perforation. Diagnosis is confirmed by culture of purulent discharge.